The initiation of hemoglobin synthesis requires:
1. Histidine
2. Glycine
3. Folate
4. Iron

Correct answer: 2. Glycine

Explanation: Ans. (b) GlycineRef: Harper's Biochemistry, 30th ed. pg. 326-28* Heme is synthesized in a complex series of steps involving enzymes in the mitochondrion and in the cytosol of the cell* The first step in heme synthesis takes place in the mitochondrion. Steps in heme synthesis are:# Condensation of succinyl CoA and glycine by ALA synthase to form 5-aminolevulic acid (ALA).# 5 ALA is transported to the cytosol where a series of reactions produce a ring structure called coproporphyrinogen III. This molecule returns to the mitochondrion where an addition reaction produces protoporphyrin IX.# The enzyme ferro chelatase inserts iron into the ring structure of protoporphyrin IX to produce heme.